TIPSS involves percutaneous creation of a shunt between
1. Portal vein and vena cava
2. Portal vein and hepatic vein
3. Hepatic vein and vena cava
4. Portal vein and hepatic artery

Correct answer: 2. Portal vein and hepatic vein

Explanation: It's a nonsurgical interventional radiological method wherein stent is placed in the liver between hepatic venule and portal venule through a guidewire, used in reducing portal pressure before doing an orthotopic liver transplantation in cirrhotic patients. Reference SRB edition 5 page:622